A female presents with leaking and meconium stained liquor at 32 weeks. She is infected with
1. CMV
2. Listeria
3. True Toxoplasma
4. Herpes

Correct answer: 2. Listeria

Explanation: "Discolored brownish or meconium stained amniotic fluid is common with fetal infection, even with preterm gestation '' Hence correct answer is Listeria, rest of the infections do not lead to preterm Labour with meconium stained liquor. Ref. Williams Obs 23/e p1224